Innate immunity active against viral cells -
1. NK cells
2. Cytotoxic T cells
3. B cell
4. Memory B cell

Correct answer: 1. NK cells

Explanation: NK cells are part of innate immunity
NK cells are considered to be important in immune surveillance and natural defense against virus-infected and malignant mutant cells.